During unwinding of DNA, relief of supercoil is made possible by
1. Topoisomerase
2. Gyrase
3. Helicase
4. Polymerase

Correct answer: 1. Topoisomerase

Explanation: During unwinding of DNA, relief of supercoil is made possible by Topoisomerase DNA helicase unwinds the DNA without cutting but using energy from hydrolysis of ATP. Gyrase is a bacterial type II topoisomerase which acts on closed circular DNA (bacteria have circular DNA).